Gas shadow in heart and vessels are seen in
1. IUD
2. Still birth
3. Abortion
4. Live IUGR

Correct answer: 1. IUD

Explanation: Robert sign - the presence of a gas shadow within the heart or the greater vessels, seen in cases of fetal death in utero.It is a rare sign caused by postmortem blood degeneration, usually seen 1-2 days after death; and may be seen as early as 12 hours(Ref: Diagnostic Ultrasound by Carol M. Rumack, Stephanie R. Wilson, J. William Charboneau, and Deborah Levine,4thed, page 1090)